Papilloedema is characterised by all EXCEPT
1. Sudden loss of vision
2. Blurred vision
3. Hyperaemic disc
4. Venous engorgement marked

Correct answer: 1. Sudden loss of vision

Explanation: (Sudden loss of vision) (301- Khurana 4th)Differentiating features of Papilloedema, Papillitis and PseudopapillitisFeaturesPapilloedemaPapillitisPseudopapillitis1. LaterallyUsually bilateralU/L or B/LMay be U/L2. Symptoms (i) visual acquityTransient attacks of blurred vision** Later vision decreases due to optic atrophy* Marked loss of vision* Sudden onset refractive errorDefective vision(ii) Pain and TendernessAbsent- May be present with ocular movementsAbsent3. Fundus examination (i) MediaClearPosterior vitreous haze is commonClear(ii) Disc colourRed and juicy appearanceMarked hyperaemiaRaddishDisc marginBlurredBlurredNot well definedDisc swelling2-6 dioptresnot >3DDepending upon the degree of hypermetropia(iii) Peripapillary oedemaPresentPresentAbsents(iv)Venous engorgementMore marked*Less markedNot present(v) Retinal exudates(vi) Retinal hemorrage(vii) MaculaMore marked* MarkedLess markedAbsent Macular starUsually not presentNot present4. FieldEnlarged** blind spotCentral scatomaNo detect5. Fluorescent angiographyVertical oval pool of dye due to leakageMinimal leakage of dyeNo leakage of dye